Patient becomes symptom free after surgery in which of the following condition?
1. Diffuse Esophageal Spasm
2. Achalasia Cardia
3. Nutcracker Esophagus
4. Jack hammer Esophagus

Correct answer: 2. Achalasia Cardia

Explanation: Ans. (b) Achalasia CardiaRef: Sabiston 20th Edition Page 1019* Among the diseases given in the list , Achalasia Cardia shows the best response to surgery - Modified Heller's Cardiomyotomy